Shoulder with bevel margin is indicated for
1. Facial margin of posterior metal ceramic crowns with supra gingival margins
2. Facial margin of posterior metal ceramic crowns with deep sub gingival margins
3. Cast metal restorations on the posterior teeth
4. Facial margin of a maxillary partial veneer crown

Correct answer: 1. Facial margin of posterior metal ceramic crowns with supra gingival margins